All are features of nephrotic syndrome in children except -
1. Lipiduria
2. Hyperlipidemia
3. Hyperalbuminemia
4. Proteinuria

Correct answer: 3. Hyperalbuminemia

Explanation: Ans. is 'c' i.e., Hyperalbuminemia Nephrotic syndrome o Nephrotic syndrome is a group of disease having different pathogenesis and characterized by 1) Proteinuria (> 3.5 gm/day) 4) Hyperlipidemia 2) Hypoalbuminemia 5) Lipiduria --> lipid casts Edema 6) Hypercoagulability